Red cell aplasia caused by:
1. Aminoglycosides
2. Chloramphenicol
3. Penicilline
4. Ciprofloxacin

Correct answer: 2. Chloramphenicol

Explanation: (Chloramphenicol): Ref: 675-KDT (717-KDT 6th)* Chloramphenicol is the most important cause of aplastic anameia, agranulocytosis, thrombocytopenia or pancytopenia* PURE RED CELL APLASIA: (480-CMDT-06)Associated with -1. SLE, CLL, Lymphomas or thymoma2. Drugs - chloramphenicol, phenytoin3. Parvovirus infections* Most cases the treatment of choice is immunosuppressive therapy with a combination of antithymocyte globulin and cyclosporine (or tacrolimus)